Organism identified by interferons:
1. Staphylococcus
2. Leptospira
3. Campylobactor
4. M. tuberculosis

Correct answer: 4. M. tuberculosis

Explanation: Ans. is. 'd' i. e., M. tuberculosis